Drug of choice for belladoma poisoning -
1. Neostigmine
2. Physostigmine
3. Tacrine
4. Hyoscine

Correct answer: 2. Physostigmine

Explanation: Ans. is 'b' i.e., Physostigmine o Physostigmine penetrates blood-brain barrier and antagonizes both central and peripheral actions of anticholinergics in acute anticholinergic poisoning (belladonna poisoning).About other optionso Neostigmine does not cross blood brain barrier. Thus it is ineffective for central anticholinergic actionso Tacrine is used for chronic central anti-cholinergic syndrome (Alzhiemer's disease).